Least common site of ectopic pregnancv?
1. Interstitial part
2. Isthmus
3. Ampulla
4. Fimbrial end

Correct answer: 1. Interstitial part

Explanation: Ans. (a) Interstitial EndThe image shows a fallopian tube with ovary seen close to the fimbrial end of the tube. The chances of ectopic pregnancy is highest in ampulla(choice c), and least in interstitial part ( Choice a).